Which of the following is not converted into active metabolite?
1. Cyclophosphmide
2. Diazepam
3. Fluoxentine
4. Lisinopril

Correct answer: 4. Lisinopril